Type of graft, best suited for renal transplantation ?
1. Allograft
2. Autograft
3. Xenograft
4. Isograft

Correct answer: 4. Isograft

Explanation: Ans is 'd' i.e., Isograft Although the best graft is autograft, a renal graft can obviously not be an autograft. So the best renal graft is an isograft.